All are elevators of larynx except:
1. Thyrohyoid
2. Digastric
3. Stylohyoid
4. Sternohyoid

Correct answer: 4. Sternohyoid

Explanation: Elevators of larynx: Longitudinal muscles of pharynx (stylopharyngeus, salpingopharyngeus and palatopharyngeus) Thyrohyoid, Mylohyoid, Stylohyoid, Geniohyoid Digastric Depressors of larynx: Sternothyroid Sternohyoid and Omohyoid